All are X-ray findings of RA except ?
1. Reduced joint space
2. Soft tissue shaddow
3. Periarticular new bone formation
4. Subchondral cyst

Correct answer: 3. Periarticular new bone formation

Explanation: Ans. is 'c' i.e., Periarticular new bone formation Radiological features of RA Following features are seen on X-ray :- Reduced joint space Erosion of articular margins Subchondral cysts Juxta-articular rarefaction Soft tissue shadow at the level of the joint because of joint effusion or synovial hypertrophy Deformities of the hand and fingers Periarticular osteopenia (osteoporosis)